Dose of vitamin A for a 18 month old baby, with keratomalacia, weighing 10 kg is?
1. 50,000 IU
2. 1,00,000 IU
3. 2,00,000 IU
4. 5,00,000 IU

Correct answer: 3. 2,00,000 IU

Explanation: Vitamin A DEFICIENCY It is characterized by night blindness, conjunctival xerosis, Bitot spots, Keratomalacia and fundus changes in severe cases Treatment: <6 months of age - Vitamin A 50,000 IU orally/dose 6-12 months of age - Vitamin A 100,000 IU orally/dose >12 months of age - Vitamin A 2,00,000 IU orally/dose The same dose is repeated next day & 4 weeks later. - Clouding of cornea in a child with Vit A deficiency is emergency - requires parenteral administration of 50,000 - 100,000 IU Retinol - In keratomalacia - Local treatment with antibiotic drops & ointment , padding of eye - enhances healing